Psuedoaneurysm in I.V.drug abusers is commonly found in
1. Radial artery
2. Brachial artery
3. Femoral artery
4. External iliac artery

Correct answer: 3. Femoral artery

Explanation: Pseudoaneurys Most common cause : Trauma (penetrating trauma or iotrogenic by catheterization) MC artery involved : Radial artery Treatment Ligation is the optimal treatment for infected pseudoaneurysm because it is easy, safe and cost effective (in IV drug abuser there is high chance of infection) RReconstruction is not recommended because of extension of infection at location of pseudoaneurysm and at artificial graft site Ref: Rutherford vascular surgery 6th edition pvolume II Pgno : 248-249